When a 'spontaneous perforation' of the esophagus occurs as a result of severe barotraumas while a person vomits against a closed glottis, the condition is known as:
1. Mallory-Weiss syndrome
2. Plummer-Vinson syndrome
3. Kartagener's syndrome
4. Boerhaave's syndrome

Correct answer: 4. Boerhaave's syndrome

Explanation: BOERHAAVE'S SYNDROME Spontaneous rupture usually occurs on the left posterolateral side of the distal esophagus into the left pleural cavity or just above the gastroesophageal junction. These patients are typically male (85%), 40 to 60 years of age, who have a history of recent emesis. Clinical features Mackler's triad is seen in spontaneous esophageal perforation Thoracic pain Vomiting and Cervical subcutaneous emphysema . Patients with an abdominal perforation have epigastric abdominal pain that is also often referred to the back and left shoulder.